Oral Factor Xa Inhibitor is
1. Dabigatran etexilate
2. Fondaparinux
3. Bivalirudin
4. Rivaroxaban

Correct answer: 4. Rivaroxaban

Explanation: Factor Xa inhibitors * Oral Direct Factor Xa (Stuart-Prower factor) Inhibitors are Rivaroxaban, Apixaban, Betrixaban and Edoxaban * Rivaroxaban inhibits free and clot associated Factor Xa AE reducing !rombin generation AE suppressing Platelet aggregation and Fibrin formation. * Other options: * Dabigatran etexilate is an Oral Direct Factor IIa (Thrombin) Inhibitor * Fondaparinux is a parenteral synthetic Heparin derivative anticoagulant * Bivalirudin is a parenteral Hirudin-based Thrombin Inhibitor. * Salient features of Rivaroxaban: Ref:- Goodman & Gilman's the pharmacological basis of therapeutics 13th Edition; Pg num:- 594.